Following are radiological signs of uterine fibroid except
1. Calcification seen as echogenic foci with shadowing on USG.
2. High signal intensity on T1 weighted image around centrally located myoma suggests red degeneration.
3. Hypoechoic, isoechoic or even hyper echoic compared to normal myometrium.
4. Interruption of the junctional zone and focal thinning of myometrium on T2w MRI.

Correct answer: 4. Interruption of the junctional zone and focal thinning of myometrium on T2w MRI.

Explanation: Interruption of junctional zone and focal thinning of myometrium is seen with placenta accreta.